All of the following skin lesions are associated with Diabetes mellitus except
1. Necrobiosis Lipoidica
2. Granuloma annulare
3. Acanthosis nigricans
4. Pyogenic granuloma

Correct answer: 4. Pyogenic granuloma

Explanation: Pyogenic granuloma is associated with IBD. (Ulcerative colitis > Crohn's disease).